Primary sites of lymphocyte production are
1. Bone marrow and Thymus
2. Spleen and Lymph nodes
3. Lymph nodes and mucosa associated lymphoid tissue
4. Spleen and mucosa associated lymphoid tissue

Correct answer: 1. Bone marrow and Thymus